Hepatorenal syndrome characterised by all except:
1. No proteinuria
2. Normal intrinsic' kidney.
3. Liver failure
4. Urine osmolality less than plasma osmolality

Correct answer: 4. Urine osmolality less than plasma osmolality

Explanation: Renal failure consequent on liver failure can occur in cirrhosis. The kidney's they are intrinsically normal and renal failure is thought to result from altered systemic blood flow including diminished renal blood flow:
• It occurs in advanced cirrhosis at most alwaysand ascites
 
Absence of proteinuria or abnormal urinary sediment.
 
Urine sodium excretion below lOmmol/day.
 
Serum Na t- concentration < 130 m Eq/L?
 
Urinary osmolality greaterthan
 
plasma osmolality.
 
Urine volume < 500 ml/day.